Prokaryotes have:
1. Nuclear membrane
2. Nucleolus
3. DNA
4. None

Correct answer: 3. DNA

Explanation: DNA